The components included for Pareek's method of socio-economic classification for rural areas include the following Except
1. Education
2. Income
3. Occupation
4. Family members

Correct answer: 2. Income

Explanation: BG Prasad classification proposed a scale based on per capita monthly income and has been used extensively in India. In rural areas Pareek classification based on nine characteristics viz. caste, occupation, education, level of social participation of the head of the family, landholding, housing, farm power, material possession and total members in the family is widely used. Modified Kuppuswamy scale is commonly used to measure the socio-economic status in the urban communities. The scale includes the education, occupation of head of the family and income per month from all sources Ref: